Hepcidin acts on which receptor to inhibit the iron absorption?
1. DMT-1
2. Ferroportin
3. Hephaestin
4. Transferrin

Correct answer: 2. Ferroportin

Explanation: Ans. (b) FerroportinRef: Ganongs Review of Medical Physiology 25th Ed; Page No- 486* Maximum iron absorption occurs in duodenum.* Hepcidin is produced by liver. It represses the basolateral transport of iron into the blood.* Generally, transport of dietary iron into the enterocytes through divalent Metal Transporter-1 (DMT-1); some iron stored in ferritin; then excess iron transported out the enterocytes through basolateral named ferroportion 1.* Hepcidin level is regulated by HFF gene* Hepcidin is a crucial molecule in iron metabolism, linking body stores with intestinal iron absorption.* Mutation of HFF gene -Hemochromatosis